Direct bronchoscopy can visualize all of the following structures, EXCEPT:
1. Trachea
2. Vocal cords
3. First segmental subdivision of branch
4. Subcarinal lymph nodes

Correct answer: 4. Subcarinal lymph nodes

Explanation: A bronchoscope is used to directly inspect and examine the larynx, trachea and the bronchus. Subcarinal lymph nodes cant be visualised using this. Bronchoscopy helps in visualisation upto the 4th to 5th division of the tracheobronchial tree. Major indications for bronchoscopy in ICU: DIAGNOSTIC BRONCHOSCOPY Airway inspection Collection of respiratory specimens Inspection of endotracheal tube position THERAPEUTIC BRONCHOSCOPY Aspiration of secretions Treatment of obstruction Foreign body extraction Endotracheal tube repositioning Percutaneous dilational tracheostomy tube placement Airway prosthetic placement .